Staphylococcus differes from streptococcus by -
1. Coagulase test
2. Catalase test
3. Phasphatase
4. Gram negative

Correct answer: 2. Catalase test

Explanation: Ans. is 'b' i.e., Catalase test * Coagulase test is used to differentiate the different species of staphylococci (staph aureus, staph, epidermidis).* Catalase test is used to differentiate staphylococci from streptococci.